The pontic of mandibular posterior region should be
1. Point contact
2. Saddle
3. Modified ridge lap
4. Ovate

Correct answer: 1. Point contact